According to myogenic hypothesis of renal autoregulation, the afferent arterioles contract in response to stretch induced by:
1. No release
2. Narodrenaline release
3. Opening of Ca2+ channels
4. Adenosine release

Correct answer: 3. Opening of Ca2+ channels

Explanation: C i.e. Opening of Ca2+ channels